Which vaccine to be given every year ?
1. Hepatitis A
2. Pneumococcal
3. Influenza
4. Chicken pox

Correct answer: 3. Influenza

Explanation: - Influenza vaccine is recommended to be given yearly to high risk groups. - HIGH RISK POPULATION INCLUDES: - Age = 6-24months - Chronic cardiac / lung diseases - Asthma/ wheeze during 2-4yrs of age / asthma requiring oral corticosteroid therapy - Blood disorders like SICKLE CELL DISEASE - Diabetes - Systemic lupus - All immunocompromised children - Aspirin therapy